High levels of HBeAg in serum indicates
1. HBeAg is not seen in the serum
2. High infectivity of the virus
3. Low infectivity of the virus
4. Recovering stage

Correct answer: 2. High infectivity of the virus